Commonest variety of pemphigus:-
1. Pemphigus vulgaris
2. Pemphigus vegetans
3. Pemphigus foliaceous
4. Pemphigus erythematosus

Correct answer: 1. Pemphigus vulgaris

Explanation: P. vulgaris is the most common It has a worldwide distribution M/C in middle aged adults, rare in children. Younger age at presentation in Indians compared to the West P. vegetans Benign variant of P. vulgaris (rare disease) 2 forms: Neumann and Hallopeau Involves intertriginous areas and flexural surfaces P. foliaceous : less common, flacid subcorneal lesion with crusting and scaling on erosion over seborrheic areas. P. erythematous: variant of P. foliaceous with overlap with lupus erythematosus If 'vulgaris' is written at end then it is usually the most common variety of that disease